Which of the following drug is aipha-glucosidase inhibitor?
1. Pioglitazone
2. Miglitol
3. Met-formin
4. Nateglinide

Correct answer: 2. Miglitol

Explanation: Acarbose , voglibose, miglitilol are alpha glucosidase inhibitors nateglinide- glinides, pioglitazone- thiazolidinediones (REF.Essential of medical pharmacology K D TRIPATHI 6 Edition, Page No - 270)